Which of the following is seen in kidney malignant hypertension?
1. Hyaline necrosis
2. Fibrinoid necrosis
3. Medial wall hyperplasia
4. Microaneurysm

Correct answer: 2. Fibrinoid necrosis

Explanation: Ans. is 'b' Fibrinoid necrosisMalignant nephrosclerosis is the form of renal disease associated with malignant or accelerated phase of hypertension.Pathology of kidney in Malignant Hypertension On Gross Inspection :The kidneys are normal in size or slightly enlarged. They have a smooth surface with numerous small petechial hemorrhages.These small pinpoint petechial hemorrhages appear on the cortical surface from rupture of arterioles or glomerular capillaries.On Histology :Two distinct vascular lesions are seen :Fibrinoid necrosisIt affects the arterioles and is characterized by infiltration of arteriolar walls with eosinophilic material including fibrin, thickening of vessel walls and occasionally, an inflammatory infiltrate (necrotizing arteriolitis).Hvperplastic arteriolitisThis affects the interlobular arteries and arterioles.There is concentric hyperplastic proliferation of the smooth muscles together with fine concentric layering of collagen to form a hyperplastic arteriolitis (Onion skin lesion).